In Kwashiorkor, the letter 'K' is post-fixed to denote
1. Weight for height
2. Skin changes
3. Edema
4. Muscle wasting

Correct answer: 3. Edema

Explanation: Ans. c (Edema) (Ref. OP Ghai Pediatrics 6th ed., 101)CLASSIFICATION OF MALNUTRITIONI. Clinical Classification1. Marasmus2. Kwashiorkor3. Nutritional Dwarfa) PK- Pre Kwashiorkorb) SBK - Sugar Body Kwashiorkorc) MK - Marasmic KwashiorkorII. Gomez Classification# Grade I - 90-75% of expected weight# Grade II - 75-60% of expected weight# Grade III - Less than 60% of expected weight.III. Indian Academy of Pediatrics (TAP) ClassificationIndian Academy of Pediatrics (IAP) classification of PEM based on weight for ageWeight > 80% of expected for ageNormalWeight between 71-80% of expected for ageGrade 1 PEMWeight between 61-70% of expected for ageGrade II PEMWeight between 51-60% of expected for ageGrade III PEMWeight between < 50% of expected for ageGrade IV PEMNote: Alphabet K is postfixed in presence of edema.QE.g. : a male child weighing 8 kg at 2 years of age with pedal edema (50th percentile for 2 years is 12.3 kg) is classified as PEM Grade II (K) as per IAP classification.IV. Jelliffe's ClassificationGrade I- 90-80% of expected weightGrade II-80-70% of expected weightGrade III- 70-60% of expected weightGrade IV- 60-50% of expected weightSimilar to IAP ClassificationV Wellcome Classification# Weight between 60-80% of the expected weight with Edema - Kwashiorkor.# Weight below 60% of expected weight with edema - Marasmic Kwashiorkor.# Weight below 60% of expected weight without edema - Marasmus.VI. Gopalan's Classification (Considering both weight for age and weight for height - other classifications are based on weight for age)Type of PEMWeight for AgeHeight for AgeWeight for HeightActive PEMReducedNormalReducedChronic PEMReducedReducedNormalChronic Active PEMReducedReducedReduced